Regarding pulmonary function test all are TRUE, EXCEPT:-
1. Total lung volume increases in emphysema
2. Compliance decreases in interstitial lung disease.
3. Compliance is total lung distensibility
4. FEV1 is forced expiratory rate at one minute.

Correct answer: 4. FEV1 is forced expiratory rate at one minute.

Explanation: Ans. is 'd' i.e. FEVl5 is forced expiratory rate at one minute FEV1 is the fraction of vital capacity expired during the first second of a forced expiration (FEV1 also k/ a timed vital capacity).Compliance is change in lung volume per unit change in airway pressure ([?]V/[?]P) - It is the stretch ability of lungs and chest wall.Compliance is decreased in:Pulmonary congestion*Interstitial pulmonary fibrosis*Interstitial lung diseases*Compliance in increased inEmphysema *